Largest turbinate is
1. Superior
2. Inferior
3. Middle
4. All are of the same size

Correct answer: 2. Inferior

Explanation: Conchae or turbinates are the curved bony projections directed downwards and medially.Below and lateral to each concha is the corresponding meatus.From above downwards the conchae are superior, middle, and inferior nasal conchae. Sometimes a 4th concha, the concha suprema is also present. Superior and middle nasal conchae are projections from the medial surface of the ethmoidal labyrinth.Inferior concha is an independent bone. The superior concha is the smallest and the inferior is the largest in size. Reference: Textbook of anatomy, Head neck and brainVishram Singh, 2nd edition, page no255.